Which of the following conditions cannot be detected by bone scintigraphy?
1. Avascular necrosis
2. Fractures
3. Osteomyelitis
4. None

Correct answer: 4. None